Glutathione peroxidase is a/an -
1. Catalase
2. Antioxidant
3. Microsomal enzyme
4. None

Correct answer: 2. Antioxidant

Explanation: Ans. is 'b' i.e., Antioxidant o A series of enzymes acts as free radical-scavenging systems and breakdown hydrogen peroxide and superoxide anion.1. Catalaseo Present in peroxisomes and decomposes H2O2,2. Superoxide desmutase (SOD)o Manganese - superoxide dismutase is present in mitochondria, while copper-zinc-superoxide dismutase is found in the cytosol,o It converts superoxide to H2O2,3. Glutathione peroxidaseo Present in mitochondria & cytosolo It catalyzes free radical breaksown.H2O2,+ 2GSH - GSSG + 2H2O20H+2GSH - GSSG + 2 H2Oo Intracellular ratio of oxidized glutathione (G S S G) to reduced glutathione (G S M) is a reflection of the oxidative state of the cell.